Whiplash injury is tear of which ligament
1. Ligamenta flava
2. Ant. longitudinal ligament
3. Post.longitudinal ligament
4. Supraspinal ligament

Correct answer: 2. Ant. longitudinal ligament